If in a state prevalence of HIV is 5% in high risk group but in antenatal women it is <1%. The state belongs to ?
1. High prevalence state
2. Moderate prevalence state
3. Low prevalence state
4. Very low prevalence state

Correct answer: 2. Moderate prevalence state

Explanation: Ans. is 'b' i.e., Moderate prevalence state Group I (High prevalent states): HIV infection in > 5% high risk group and 1% antenatal women.Group II (Moderate prevalent states) : HIV infection in 5% high risk group and < 1% antenatal women.Group III (Low prevalent states): HIV infection in < 5% high risk group and < 1% antenatal women.